A 24-year-old unmarried women has multiple nodular, cystic, pustular and comadonic lesions on face, upper back and shoulders for 2 years. The drug of choice for her treatment would be:
1. Acitretin
2. Isotretinoin
3. Doxycycline
4. Azithromycin

Correct answer: 2. Isotretinoin

Explanation: B i.e. Isotretinoin